Which of the following research methods include only people who are initially free of the disease of interest?
1. Case series report
2. Cross-sectional
3. Case-control study
4. Cohort study

Correct answer: 4. Cohort study

Explanation: Only cohort study moves forward with time. Here we study groups, who do not have the disease of interest initially but develops with time or not. Ref: Park's textbook of Preventive and Social Medicine, 21st edition, page 67-76